True regarding AV fistula is -
1. Leads to cardiac failure
2. Causes local gigantism
3. Can cause ulcers
4. All

Correct answer: 4. All

Explanation: Answer 'a' i.e. Leads to cardiac failure; 'b' i.e. Causes local gigantism; 'c' i.e. Can cause ulcers